Long-term use of which of the following diuretic agent results in gynaecomastia?
1. Amiloride
2. Spironolactone
3. Triamterene
4. Acetazolamide

Correct answer: 2. Spironolactone

Explanation: Potassium-sparing diuretics may produce hyperkalemia, particularly in patients with renal insufficiency and those taking ACE inhibitors or angiotensin receptor blockers; Spironolactone is associated with gynecomastia- as it inhibits aldosterone Reference: Katzung Pharmacology; 13th edition; Chapter 11; Antihypertensive Agents